Most common site of volvulus is:
1. Ileum
2. Appendix
3. Sigmoid colon
4. Caecum

Correct answer: 3. Sigmoid colon

Explanation: Ans. C: Sigmoid colon Volvulus refers to torsion of a segment of the alimentary tract, which often leads to bowel obstruction. The most common sites of volvulus am the sigmoid colon and cecum. In sigmoid volvulus, rotation nearly occurs in the anticlockwise direction. Volvulus of other portions of the alimentary tract, such as the stomach, gallbladder, small bowel, splenic flexure, and transverse colon, are rare Predisposing factors includes a high residue diet and constipation.